Which of the following is selective alpha antagonist?
1. Propanolol
2. Prazosin
3. Phentolamine
4. Clonidine

Correct answer: 2. Prazosin

Explanation: Ans. B. PrazosinPrazosin is selective alpha 1 blocker which used in patients suffering from BHP. They also used in hypertension. Phentolamine is nonselective alpha blocker. Clonidine is alpha 2 agonists.